Most potent vasoconstrictor of the pulmonary artery is:
1. Endothelin
2. Hypoxia
3. Angiotensin
4. TXA2

Correct answer: 2. Hypoxia

Explanation: Endothelin, urotensin, angiotensin are the potent constrictors of the systemic vessels. In case of the pulmonary vessels, hypoxia is the strongest vasoconstrictor, acting the O2-sensitive K+ channels in the pulmonary vascular smooth muscle cells (VSMCs).